"Egg shell" calcification in hilar nodes suggest
1. Asbestosis
2. Silicosis
3. Berylliosis
4. Baritosis

Correct answer: 2. Silicosis

Explanation: Silicosis